Sections 312 to 315 deal with-
1. Kidnapping & abduction
2. Attention & abetment to suicide
3. Causing grevious hurt
4. Voluntary miscarriage

Correct answer: 4. Voluntary miscarriage

Explanation: Ans. is 'd' i.e., Voluntary miscarriage 312 IPC- causing miscarriage (3 years imprisonment with or without fine). 313 IPC- causing miscarriage without consent of lady (10 years imprisonment which can extend upto life with or without fine). 314 IPC- death of patient caused by miscarriage (10 years imprisonment with or without fine). 315 IPC- death of child during miscarriage (10 years imprisonment with or without fine).